All are true of water shed infarcts except
1. Seen at junction of major cerebral arteries
2. Seen at sub ganglionic White matter
3. Cerebral vasospasm may cause it
4. Associated With hypoxic ischemic encephatopathy

Correct answer: 2. Seen at sub ganglionic White matter

Explanation: Harrison's principles of internal medicine. *Occur at distal territories between the major cerebral arteries and can cause cognitive deficits,visual agnosia and weakness that is greater in proximal than in distal muscle groups. watershed stroke is defined as a brain ischemia that is localized to the vulnerable border zones between the tissues supplied by the anterior, posterior and middle cerebral arteries. The actual blood stream blockage/restriction site can be located far away from the infarcts. Watershed locations are those border-zone regions in the brain supplied by the major cerebral arteries where blood supply is decreased. Watershed strokes are a concern because they comprise approximately 10% of all ischemic stroke casesThe watershed zones themselves are particularly susceptible to infarction from global ischemia as the distal nature of the vasculature predisposes these areas to be most sensitive to profound hypoperfusion Ref Harrison20th edition pg 2234